Most common benign tumor of liver is
1. Hemangioma
2. Hepatic adenoma
3. Hepatoma
4. Hamartoma

Correct answer: 1. Hemangioma

Explanation: Most common benign tumor of the liver Mainly seen in women of 45 years Small capillary hemangiomas(no clinical significance), larger cavernous hemangioma Usually single and <5 cm in diameter, occur equally in right and left liver Giant hemangioma: lesion>5cm Pathology Microscopically: Endothelium-lines, blood filled spaces that are seperated by thin, fibrous septa Enlargement of hemangiomas are by ectasia rather than neoplasia Clinical features Most commonly asymptomatic and incidentally found on imaging studies Large compressive masses may cause vague upper abdominal symptoms Kasabach-Merritt syndrome; syndrome of thrombocytopenia and consumptive coagulapathy Rarely seen LFT's and tumor markers are normal Diagnosis Diagnosis is made radiologically CT and MRI are diagnostic if a typical peripheral nodular enhancement pattern is seen Percutaneous biopsy is potentially dangerous and inaccurate not recommended Treatment Observation for asymptomatic cases Enucleation with inflow control is TOC for symptomatic cases Ref : Sabiston 20th edition Pgno :1456-1457